All of the following are types of avascular non-union except:
1. Comminuted
2. Elephant foot
3. Torsion wedge
4. Atrophic

Correct answer: 2. Elephant foot

Explanation: Classification of non-union:
 Hypervascular non-union:

Elephant foot (hypertrophic , rich in callus)
Horse foot (mildly hypertrophic , poor in callus)
Oligotrophic (non-hypertrophic, no callus)

Avascular non-union:

Torsion wedge
Comminuted
Defect
Atrophic